Innervated structures of joints are all EXCEPT:
1. Synovium
2. Capsule
3. Articular cartilage
4. Ligaments

Correct answer: 3. Articular cartilage

Explanation: Articular cartilage is devoid of neurovascular bundle.